Most common indication for liver transplant in children -
1. Viral hepatic disease
2. Biliary Atresia
3. Primary sclerosing cholangitis
4. Crigler Najar Syndrome

Correct answer: 2. Biliary Atresia

Explanation: Ans. is 'b' i.e., Biliary Atresia o Biliary atresia is currently MC indication for pediatric liver transplantation.